Baby presents with froth in mouth after 3 days of birth, coughing on feeding:
1. TE fistula
2. Choanal atresia
3. Cleft palate
4. Diaphragmatic hernia

Correct answer: 1. TE fistula

Explanation: Ans. A. TE fistula Ref: Nelson Textbook of Pediatrics 20th/ed pl783ExplanationConditionPresentationTE fistulaMaternal polyhydramnois and single umbilical artery Excessive drooling soon after birth with frothing. Choking and cyanosis on feedingChoanal atresiaCyanosis which improves on cryingCleft palateMorphological defect presentDiaphragmatic herniaScaphoid abdomen, respiratory distress